HCO3 is absorbed through
1. Cortical collecting duct
2. Medullary collecting duct
3. PCT
4. DCT

Correct answer: 3. PCT

Explanation: Ans. (c) PCT